A 2 yrs old child comes with 1 year h/o of generalised edema. His B.P. is 107/70mm urine examination shows hyaline cast, proteinuria +++, WBC & RBC are nil. the likely diagnosis is -
1. Selective proteinuria
2. Uremia
3. Focal segmental glonurulosclerosil
4. Low serum complement level

Correct answer: 1. Selective proteinuria

Explanation: Ans. is 'a' i.e., Selective proteinuria It is a case of nephrotic syndrome due to minimal change disease (MCD). o MCD is the most common cause of nephrotic syndrome in children* Microscopic findings of urine in MCD Protenuria o Principally albumin (which is a low molecular weight protein) a High molecular weight proteins are seen in minimal amounts. a This type of proteinuria is known as selective proteinuria. WBC --> Absent o RBC --> Absent o hyaline cast ---> can be seen o Focal segmental Glomeruloclerosis can also cause nephrotic syndrome but the urine examination in these patients will reveal protein, WBC's and RBC's .